A peptide that causes increased capillary permeability and edema is?
1. Histamine
2. Angiotensin II
3. Bradykinin
4. Renin

Correct answer: 3. Bradykinin

Explanation: Although both histamine, as well as bradykinin, can cause edema and increase in permeability, histamine is an amine whereas bradykinin is a peptide.